Riociguat is used in the treatment of:
1. Gouty arthritis
2. Rheumatoid arthritis
3. Chronic thromboembolic pulmonary hypertension
4. Obesity

Correct answer: 3. Chronic thromboembolic pulmonary hypertension

Explanation: Riociguat a soluble guanylate cyclase stimulator. It is the only therapy approved by USFDA for inoperable CTEPH (Chronic thromboembolic pulmonary hypertension). Best treatment for operable cases is pulmonary thromboendarterectomy done in expert centres. Reference: Ghofrani HA, D'Armini AM, Grimminger F, Hoeper MM, Jansa P, Kim NH, Mayer E, Simonneau G, Wilkins MR, Fritsch A, Neuser D, Weimann G, Wang C; CHEST-1 Study Group. Riociguat for the treatment of chronic thromboembolic pulmonary hypertension. N Engl J Med. 2013; 369:319-329